Buschke-Ollendroff sign is seen in
1. Primary syphilis
2. Congenital syphilis
3. Secondary syphilis
4. Tertiary syphilis

Correct answer: 3. Secondary syphilis

Explanation: Buschke-Ollendroff sign -  deep dermal tenderness on pressing the lesion with a pinhead. Seen in secondary syphilis.